A dead body with suspected poisoning is having hypostasis of red-brown or deep blue in color. It is suggestive of poisoning due to -
1. Nitrates
2. Carbon monoxide
3. Cyanides
4. Barbiturates

Correct answer: 1. Nitrates

Explanation: Reddish brown or chocolate colored or deep blue hypostasis is suggestive of poisoning due to nitrates, nitrites, nitrobenzene, due to the formation of methemoglobin.